Preformed toxin produces diarrhea in which organism?
1. Staphylococcus
2. Vibrio cholera
3. Salmonella
4. Escherichia coli

Correct answer: 1. Staphylococcus

Explanation: ANSWER: (A) StaphylococcusREF: Harrison's 17 edition, table 40.2See APPENDIX-22 for "ACUTE INFECTIOUS DIARRHEA"